Ramsay hunt syndrome all are true except:
1. VII Nerve is involved
2. Facial muscle are involved
3. Facial vesicle is seen
4. Herpes zoster is etiologic agent

Correct answer: 3. Facial vesicle is seen

Explanation: Ans. C Facial vesicle is seen Vessicles in Ramsay hunt syndrome are seen in the preauricular skin, the skin of ear canal the soft palate and not on facial skin All other options are correct and explained in the perceeding text.